False about osmotic diarrhea
1. Stool volume decreasing with fasting
2. Normal stool osmotic gap
3. Celiac sprue cause osmotic diarrhea
4. All the above

Correct answer: 2. Normal stool osmotic gap

Explanation: Osmotic diarrhea - increased stool osmotic gap.